Olfactory epithelium is ?
1. Squamous Keratinised
2. Squamous non keratinized
3. Striated columnar
4. Pseudostratified

Correct answer: 4. Pseudostratified

Explanation: D i.e. Pseudostratified